Which of the following antiarrhythmic drugs can decrease the slope of Phase 0 and prolong the action potential duration ?
1. Lignocaine
2. Propranolol
3. Quinidine
4. Adenosine

Correct answer: 3. Quinidine